Which IUCD acts for 10 yrs
1. Cu-T 200 B
2. Nova-T
3. Cu-T 380A
4. Multi load-250

Correct answer: 3. Cu-T 380A

Explanation: Cu-T 380A There are two types of IUD's Nonmedicated or inert e.g. Lippe's loop Medicated - Copper releasing - Hormone releasing Intra uterine devices can be categorised according to their evolution into IUDs Life span First generation: Lippe's loop (obsolete) ? Second generation Copper-T - CuT-200-B 4 yr CuT-200 3 yr CuT-220C - Nova-T 5 yr Multiload-250 375 3 yr 5 yr CuT-380A 10 yr Third generation Progestasert 1 yr LNG-20 (Mirena) 5 yr(Ref Novak p263: Note that Park mentions the life span of mirena to be 7 to 10 yrs) So it is the CuT-380A which has the longest life span In India under the National Family Welfare Programmes, CuT-200B is being used. From the year 2002, CuT 380A has been introduced